In early cases multiple myeloma presents with:
1. No radiographic sign
2. Punched out lesions
3. Hair end on appearance
4. Step ladder appearance

Correct answer: 1. No radiographic sign